Fox Fordyce Disease effects:
1. Sebaceous glands
2. Eccrine Glands
3. Apocrine glands
4. Any gland

Correct answer: 3. Apocrine glands

Explanation: Apocrine glands